Mouth temperature waxes are:
1. IOWA wax
2. Modeling wax
3. Green stick wax
4. None of the above

Correct answer: 1. IOWA wax

Explanation: Corrective Impression Waxes 
• These waxes are designed to flow at mouth temperature. 
• Four types of waxes can be used for this technique:

IOWA Wax, white, by Dr. Smith.
Korecta Wax No.4, Orange, by Dr, O.C. Apllegate.
11-1 physiologic paste, yellow-white, by Dr.C.S.Harkins.
Adaptol, green, by Dr. N.G.Kaye.